Stimulator of secretin secretion
1. Epinephrine
2. Acid
3. Acetylcholine
4. Fat

Correct answer: 2. Acid

Explanation: The secretion of secretin is increased by the products of protein digestion and by acid bathing the mucosa of the upper small intestine. The release of secretin by acid is another example of feedback control: Secretin causes alkaline pancreatic juice to flood into the duodenum, neutralizing the acid from the stomach and thus inhibiting further secretion of the hormoneRef: Ganong's review of medical physiology 23rd edition Page no: 446